X-rays are produced when
1. Electrons pass near the nucleus of the anode
2. Energetic electron causes ejection of electron of anode
3. Any of the above
4. None of the above

Correct answer: 3. Any of the above